18 months old child presents with low grade fever, stridor and barking cough. His chest x-ray was taken and given below. 
The line of treatment is
1. 3rd generation Cephalosporins
2. Heimlich's Maneuver
3. Reassurance
4. Single dose of Dexamethasone

Correct answer: 4. Single dose of Dexamethasone

Explanation: The given case scenario is a case of Croup. X-ray shows steeple sign. Single dose of Dexamethasone is the treatment of choice.